Local Anesthetic first used clinically aEUR'
1. Procaine
2. Lignocaine
3. Bupivacaine
4. Cocaine

Correct answer: 4. Cocaine

Explanation: Cocaine [Ref- Miller Anaesthesia, Lee Synopsis of Anaesthesia I2th/e p. 591-5921 The origin of modern local anaesthesia is credited to Carl poller, an ophthalanzologist who demonstrated the use of topical cocaine for surgical anaesthesia of the eye. - Cocaine had been isolated from the coca plant in 1855 by Gaedicke and later purified in 1860 by Albert neimann. - In 1884 the Surgeon William Halsted demonstrated the use of cocaine for intradermal infiltration and nerve blocks (including the .facial nerve, the brachial plexus, the pudendal nerve and posterior tibial nerve).